An Afroamerican boy of 6 years of age presented with abdominal pain, chronic hemolysis and abnormal RBC shape on peripheral smear. Most likely disorder responsible for this condition is -
1. Trinucleotide repeat
2. Point mutation
3. Antibodies against RBC membrane
4. Genetic imprinting

Correct answer: 2. Point mutation

Explanation: . Point mutation